Route of the approach of glossopharyngeal neurectomy-
1. Tonsillectomy approach
2. Transpalatal approach
3. Transmandibular approach
4. Transpharyngeal approach

Correct answer: 1. Tonsillectomy approach